Not done in Category 2 NST -
1. Changes in maternal position
2. Oxygen supplementation
3. Avoiding maternal pushing
4. Uterine stimulation

Correct answer: 4. Uterine stimulation

Explanation: Ans. is'd'i.e., Uterine stimulationIntrauterine resuscitative measures for Category II NST:Supplemental oxygenMaternal position changesIntravenous fluid administrationCorrection of hypotensionReduction or discontinuation of uterine stimulationAdministration of uterine relaxantAmnioinfusionChanges in second stage breathing and pushing techniques NST Category II :These are indeterminate tracings.Not predictive of fetal acid - base status.Cannot be classified as category I or III.Require continued surveillance and re-evaluation. meet the "reactivity"Except for patterns that are sinusoidal, category III tracings require the combination of absent variability plus one or more additional finding. Such tracings are classified as category II.